The best parameter to measure air pollution is:
1. SO2
2. CO2
3. CO
4. N10

Correct answer: 1. SO2

Explanation: SO2